Sclerotherapy is contraindicated in all except
1. Deep vein thrombosis
2. Saphenofemoral incompetance
3. Recurrent varies
4. Huge varicosities

Correct answer: 3. Recurrent varies

Explanation: Recurrent varies is not a contraindication for sclerotherapy.